Which one is not true regarding pseudocyst of pancreas
1. Increase level of amylase
2. Epigastric mass
3. Cystogastrostomy is the ideal T/t
4. Percutaneus aspiration is the T/t

Correct answer: 4. Percutaneus aspiration is the T/t

Explanation: Percutaneous aspiration is preferred only in cases of infected cyst and abscesses, other wise internal drainage is the t/t of choice. Epigastric mass is the main symptom of the pseudocyst. Increased level of amylase is usually elevated with pancreatic pseudocysts Ref - Srb's manual of surgery 5e p690